3M-mix antibiotic paste includes the following as intracanal medicament
1. Ciprofloxacin, Metronidazole, Minocycline
2. Norfloxacin, Metronidazole, Minocycline
3. Ciprofloxacin, Cefixime, Minocycline
4. Norfloxacin, Metronidazole, Cefixime

Correct answer: 1. Ciprofloxacin, Metronidazole, Minocycline